A 45-years old hypertensive male presented with sudden onset most severe headache, vomiting and neck stiffness. On examination he didn't have any focal neurological deficit. His CT scan shoed blood in the Sylvain fissure. The probable diagnosis is:
1. Meningitis
2. Ruptured aneurysm
3. Hypertensive bleed
4. Stroke

Correct answer: 2. Ruptured aneurysm

Explanation: Ans. (b) Rupture aneurysm* No focal neurological deficit* Sudden excruciating headache (Thunderclap headache)* Neck Stiffness* Blood in Sylvian fissureThese are the features of Berry aneurysm rupture.